Which of the following is not trophoblast related:
1. Choriocarcinoma
2. H. mole
3. Placental Site tropboblast tumor
4. Chorioangioma

Correct answer: 4. Chorioangioma

Explanation: Ans-D* Chorioangiomas the most common tumor of the placenta* It is a benign vascular tumor of placental origin and is usually found incidentally.* They are thought to arise as a malformation of the primitive angioblastic tissue of the placenta.* The angiomas are perfused by the fetal circulation. Therefore when they are large, they may represent a significant impediment to fetal cardiac activity.* This angiomasmay also sequester platelets and can, in turn, give a fetal thrombocytopenia* They can also cause the increase in levels of maternal serum alpha-fetoprotein (MSAFP) and may prompt sonographic evaluation.Modified WHO Classification of Gestational Trophoblastic DiseaseMolar lesionsNonpolar lesions* Hydatidiform mole# Complete# Partial* Invasive mole* Choriocarcinoma* Placental site trophoblastic tumor* Epithelioid trophoblastic tumor* Choriocarcinoma: A morphologic term applied to a highly malignant type of trophoblastic neoplasia in which both the cytotrophoblast and syncytiotrophoblast grow in a malignant fashion.# Chorionic villi are absent. These tumors tend to be hemorrhagic and necrotic* H. Mole: A placental abnormality involving swollen placental villi and trophoblastic hyperplasia with loss of fetal blood vessels. There are two types: partial and complete.# Partial: A molar pregnancy with swelling of all placental villi. Fetal tissues are absent.# Complete: A molar pregnancy with some normal and some swollen villi plus fetal, cord, and/or amniotic membrane elements.* Placental-Site Trophoblastic Tumor A rare type of GTD arising in the uterus that secretes human placental lactogen and human chorionic gonadotrophin (HCG).* NOTE: Persistent abnormal bleeding following normal pregnancy, abortion, or ectopic pregnancy should lead to a consideration of the diagnosis of GTD. The finding of pulmonary nodules on chest radiograph after normal pregnancy suggests GTD.